True statement about symmetrical lUGR with respect to asymmetrical lUGR :
1. Worse prognosis
2. Late onset
3. Brain sparing effect
4. More common

Correct answer: 1. Worse prognosis

Explanation: Intrauterine growth retardation refers to those fetuses that have failed to achieve their own genetic growth potential. Features of symmetrical IUGR: Uniformly small Ponderal index(Birth weight/Crown heel length) -Normal HC:AC and FL:AC Ratios-Normal Etiology: Genetic disease or Infection,Early onset Severe HTN Intrinsic to fetus. Early onset. All organs equally affected HC/AC and FL/AC normal Poor neonatal prognosis Features of Asymemetrical IUGR Head larger than Abdomen Ponderal Index-Low HC/AC and FL/AC ratios- Elevated Chronic placental insufficiency Extrinsic to fetus Late onset Usually uncomplicated having Good prognosis. REF: DC DUTTA'S TEXT BOOK OF OBS, 9th edition,page 432